Patient complaining of numbness of his feet. Physical examination of the feet reveals erythema, edema, and the presence of several clear blisters. Peripheral pulses are palpable. Which of the following is the most likely diagnosis?
1. Frostnip
2. First-degree frostbite injury
3. Second-degree frostbite injury
4. Third-degree frostbite injury

Correct answer: 3. Second-degree frostbite injury

Explanation: THE GIVEN CONDITION IS OF SECOND DEGREE FROSTBITE INJURY Frostnip : It is a superficial freeze injury that causes no tissue loss. rewarming quickly reverses the symptoms. First-degree frostbite : It is characterized by partial skin freezing, erythema, edema, no blisters, and desquamation several days later. Second-degree frostbite : It is characterized by full-thickness skin freezing, erythema, edema, and the presence of clear blisters. Patients complain of throbbing and numbness. Third-degree frostbite : It is characterized by damage that extends into the subdermal plexis. The skin is blue or gray and there are hemorrhagic blisters. Fourth-degree frostbite : It extend into the subcutaneous tissue, muscle, and bone. There is typically no edema and the skin is mottled and cyanotic